In which of the following arthritis erosions are not seen:
1. Rheumatoid arthritis
2. Systemic lupus erthematosus (SLE)
3. Psoriasis
4. Gout

Correct answer: 2. Systemic lupus erthematosus (SLE)

Explanation: Answer is B (SLE): Systemic Lupus Erythomatosis (SLE) is characterized by non erosive arthritis Presence of Erosions on Joint X rays are rare and their presence suggests a non lupus inflammatory arthropathy such as Rheumatoid arthritis (Harrisons)